Bag and mask ventilation in newborn resuscitation is contraindicated in:
1. Diaphragmatic hernia
2. Pulmonary hypoplasia
3. Tracheo-oesophageal fistula
4. Laryngomalacia

Correct answer: 1. Diaphragmatic hernia

Explanation: Bag and mask ventilation is contraindicated in suspected or confirmed diaphragmatic hernia. It is done in: * If the infant is apnoeic/gasping * Respiration is spontaneous but heart rate is below 100/min. The capacity of the bag is 240 to 750 ml. It should be attached to O2 source (5 to 6 litres/min) so as to deliver 90- 100% oxygen.